A four–year old child presents with mild fever, malaise, purpura, arthritis, abdominal pain and microscopic hematuria. What would be the most likely diagnosis –
1. Thrombob asthenia
2. Idiopathic thrombocytopenic
3. Systemic lupus erythematosus
4. Henoch–Schonlein purpura

Correct answer: 4. Henoch–Schonlein purpura